Normal anion gap is -
1. 8-10mmol/L
2. 10-12 mmol/L
3. 12-16 mmol/L
4. 16-20 mmol/L

Correct answer: 2. 10-12 mmol/L

Explanation: (B) (10-12 mmoI/L) (365-H 18th) (443 - Davidson 21st)* Normal anion gap is 10 to 12 mmol/L* * Calculated as follows : AG = Na+ - (C1-+ Co-3)* It consist of for the most part of protein* ** in the anion form HP04" S04~) and organic acids. The unmeasured cations are K+, Ca+ or Mg+.Normal (6-12 meq) anion gap* Loss of HCO3 - Diarrhoea- Recovery from diabetic Ketoacidosis- Pancreatic fluid loss ileostomy (unadopted)- Carbonic anhydrase inhibitors* Chloride retension I. Renal tubular acidosisII. Ileal loop bladder* Administration of HC1 equivalent or NH4C1 Arginine and lysine in Parenteral nutritionCauses of High anion gap metabolic acidosis* Lactic acidosisToxins* Ketoacidosis- Ethylene glycol- Diabetic- Methanol- Alcoholic- Salicylates (Aspirin)- Starvation- Propylene glycol - Pyroglutamic acid Renal failure (acute and chronic.